Most common complication of splenectomy is -
1. Pancreatic leak
2. Pulmonary complications
3. Pneumococcal peritonitis
4. Hemorrhage

Correct answer: 2. Pulmonary complications